Dawson's fingers are seen in -
1. Multiple sclerosis
2. Multiple myeloma
3. Freidreich's ataxia
4. SACD

Correct answer: 1. Multiple sclerosis

Explanation: Ans. is 'a' i.e., Multiple Sclerosis o Dawson's fingers on MRI scans are diagnostic of Multiple Scerosis.o 'Dawson s fingers' refers to the MS lesions around the veins that radiate out from the ventricles (fluid filled spaces in the centre of the brain).o Dow son s fingers are supposed to be the result of inflammation or mechanical damage by blood pressure along the space around the veins.